Dementia is seen in all except -
1. Schizophrenia
2. Alzheimer's disease
3. Huntington's chorea
4. Pick's ds.

Correct answer: 1. Schizophrenia